Risk factors for Placenta Accreta include all of the following, except:
1. Previous LSCS scar
2. Previous curettage
3. Previous myomectomy
4. Previous placenta praevia

Correct answer: 4. Previous placenta praevia

Explanation: In placenta accreta, there is a failure of normal decidua to form which causes the placenta to be directly anchored to the myometrium either partially or completely without any intervening decidua. Placenta praevia in the present pregnancy is a risk factor for placenta accreta but previous placenta praevia is not a risk factor. Ref: Manual of Pathology of the Human Placenta By Rebecca N. Baergen, Kurt Benirschke; 2nd edition, Pages 192-97; Dutta textbook of Obstetrics 6th edition, Pages 420-21